Which of the following complications can occur as a result of passage of meconium in utero?
1. Obstructive emphysema
2. Meconium ileus
3. Neoratal hepatitis
4. IUGR

Correct answer: 1. Obstructive emphysema

Explanation: Meconium aspiration syndrome (MAS) is characterized by early onset of respiratory distress and hypoxemia in a meconium stained term infant. Complications of Meconium Aspiration Syndrome (MAS): * Persistent pulmonary hypertension * Air leak: pneumomediastinum, pneumothorax, cystic lung disease, obstructive emphysema * Pulmonary hemorrhage * Complications of asphyxia: encephalopathy, seizures, oliguria, coagulopathy and thrombocytopenia